Class III Vaughan - Williams classification consists of?
1. Na channel blocker
2. Beta blocker
3. K channel blocker
4. Calcium channel blocker

Correct answer: 3. K channel blocker

Explanation: Ans. is 'c' i.e., K channel blocker